Which of the following is given to treat thrombocytopenia secondary to anti cancer therapy and is known to stimulate progressive megakaryocytes
1. Filgrastin
2. Oprelvekin
3. Erythropoietin
4. Iron dextran

Correct answer: 2. Oprelvekin

Explanation: Refer Katzung 11/e p 580 Oprelvekin (1L-11) is used to prevent and treat thromcytopenia